Which one of the following statements regarding pre-post clinical trials is most appropriate -
1. They can not be randomized
2. They are useful in studies involving mortality
3. They use the patient as his or her own control
4. They are usually easier to interpret than the comparable parallel clinical trial

Correct answer: 3. They use the patient as his or her own control

Explanation: They use the patient as his or her own control. Pre-post clinical trial does not have a true control group. Each patient has a pre test score followed by a post test. Reference: Handbook of drug abuse prevention by Slobada & Bukoski; pg no.534-35.